Oil and grease are sterilised by-(
1. Hot air oven
2. Autoclaving
3. Filtration
4. Irradiation

Correct answer: 1. Hot air oven

Explanation: Ans. is 'a' i.e., Hot air oven